Cholera toxin -
1. Increases the levels of intracellular cylic GMP
2. Acts through the receptor the opiates
3. Causes continued activation of adenylate cyclase
4. Inhibits the enzyme phosphodiesterase

Correct answer: 3. Causes continued activation of adenylate cyclase